The relaxation of smooth muscle is associated with a reduction in free intracellular calcium ion concentration. The effect of the reduction is
1. Reestablishment of inhibition of actin-myosin interaction
2. Deactivation of enzymatic activity of the individual actin molecules
3. Decreased phosphorylation of myosin molecules
4. Reduced contractile interaction by blocking the active sites of the myosin molecules

Correct answer: 3. Decreased phosphorylation of myosin molecules

Explanation: Due to relaxation of smooth muscle, dephosphorylation of myosin by myosin light chain phosphatase.